A 26 years male person has got injury to mid arm patient developed wrist drop, finger drop, loss of sensation and dorsum of hand, patient is able to do elbow extension, the diagnosis is
1. Very high radial nerve injury
2. High radial nerve injury
3. Low radial nerve injury
4. Posterior Interooseus nerve

Correct answer: 2. High radial nerve injury

Explanation: Very high radial nerve palsy ----elbow extension lost, wrist drop, finger drop High radial nerve palsy ----wrist drop, finger drop Low radial nerve palsy ----finger drop, no wrist drop Refer maheswari 9th ed